Which of the following is not included in '5 cleans' in conduct of delivery?
1. Clean hands
2. Clean perineum
3. Clean cutting and care of cord
4. Clean surface for delivery

Correct answer: 2. Clean perineum

Explanation: Cleans of safe Delivery: 'Five cleans' (Practices) under strategies for elimination of neonatal tetanus include, Clean delivery surface Clean hands (of birth attendants) Clean cord cut (blade or instrument) Clean cord tie Clean cord stump (no applicant) Ref: National Health Programs of India by Dr. J. Kishore 8th edition Pgno: 128